Which of the following is not a common cause of vasculitis in adults
1. Giant cell artheritis
2. Kawasaki disease
3. Takayasu disease
4. Polyarteritis nodosa -

Correct answer: 2. Kawasaki disease

Explanation: Kawasaki disease is an acute, febrile, usually self-limited illness of infancy and childhood (80% of the patients are younger than 4 years of age) associated with an arteritis of mainly large to medium-sized vessels. Its clinical significance stems from the involvement of coronary arteries. Coronary arteritis can cause aneurysms that rupture or thrombose, resulting in myocardial infarction. (Robbins Basic Pathology,9th edition,pg no.352)